Most common indication for heart transplant is?
1. Dilated cardiomyopathy
2. MI
3. Hypertrophic cardiomyopathy
4. TOF

Correct answer: 1. Dilated cardiomyopathy

Explanation: Dilated cardiomyopathy due to ischaemia is the most common cause of dilated cardiomyopathy.